The thyroid gland receives its blood supply in part from branches of which of the following?
1. Internal carotid artery
2. Lingual artery
3. Subclavian artery
4. Transverse cervical artery

Correct answer: 3. Subclavian artery

Explanation: The inferior thyroid artery arises from the thyrocervical trunk, a branch of the subclavian artery. The superior thyroid artery arises from the external carotid artery An inconsistent thyroid ima artery when present, may arise from the aortic arch, the innominate artery or the common carotid artery There are no branches of the internal carotid artery and infrequent branches of the common carotid artery in the neck. The transverse cervical artery supplies the posterior triangle of the neck. The vertebral arteries give off spinal and muscular branches in the neck.